Which parotid tumor spreads along nerve sheath ?
1. Pleomorphic adenoma
2. Mucoepidermoid carcinoma
3. Adenoid cystic carcinoma
4. Warthin's tumor

Correct answer: 3. Adenoid cystic carcinoma

Explanation: Adenoid cystic carcinoma has got high affinity for perineural spread(both axially and circumferentially;antegrade and retrograde fashion) along mandibular and maxillary divisions of trigeminal (common) and facial nerve .It infiltrates nerve more proximally for long distance. Tumor may reach Gasserian trigeminal ganglion ,pterygopalatine ganglion and cavernous sinus SRB,5th,417 .